Decarboxylation of which of the following amino acids results in formation of a vasodilator:
1. Valine
2. Arginine
3. Histidine
4. Glutamic acid

Correct answer: 3. Histidine